Myocardium normally utilizes:
1. Glucose
2. Lactose
3. Fatty acid
4. Glycogen

Correct answer: 3. Fatty acid

Explanation: Heart uses fatty acids in fed and fasting state. It uses Ketone bodies during starvation. Fetal heart and heart failure, uses glucose as fuel Source of fuel in various tissues and cells under different conditions Fed Fasting Starvation Brain Glucose Glucose Ketone Bodies Heart Fatty Acids Fatty Acids Ketone Bodies Liver Glucose Fatty Acids Amino Acids Muscle Glucose Fatty Acids Fatty Acids and KB Adipose tissue Glucose Fatty Acids Fatty Acids RBC Glucose Glucose Glucose